Which of the following poisoning is associated with the development of Burtonian line?
1. Zinc
2. Lead
3. Arsenic
4. Mercury

Correct answer: 2. Lead

Explanation: Burtonian line is a stippled bluish black line due to epithelial deposition of lead sulphide granules on the gums at the junction with the teeth. It is seen in about 50 - 70% of the cases of Lead poisoning. Lead is a typical cumulative poison. Lead poisoning occurs from the toxic effects of the following principle lead salts: Lead acetate - white crystals Lead carbonate - white crystalline powder Lead chromate - bright yellow powder Lead monoxide - pale brick-red Lead tetroxide - red lead/sindur Lead sulphide - least toxic Ref: The Essentials of Forensic Medicine And Toxicology by Dr. K. S. Narayan Reddy 27th edition; Pages 464; 475-9; 473.